Organisms that has not been cultured successfully so far is-
1. Leptospira
2. Treponema pallidum
3. Bordetella
4. Staphylococcus

Correct answer: 2. Treponema pallidum